In primary pulmonary hypertension basic abnormality in gene lies in:
1. Bone morphogenetic protein receptor II
2. Endothelin
3. Homebox gene
4. PAX - 11

Correct answer: 1. Bone morphogenetic protein receptor II

Explanation: Answer is A (Bone morphogenic Receptor Protein II) Gene coding the type II bone morhphogenetic protein receptor II (BMPR II) is associated with familial cases of primary pulmonary hypertension and designated as the PPH I gene. Bone morphogenic protein receptor II (BMPRII) and pulmonary Hypertension BMPRII is a cell surface protein receptor belonging to the TGF-13 receptor superfamily (located on chromosome 2q31) BMP-BMPRII signaling plays an important role in embryogenesis, apoptosis, cell proliferation and differentiation. In vascular smooth muscles normal BMPR2 signalling causes inhibition of proliferation and favour apoptosis, thereby protecting the vessels from narrowing and development of hypertension Primary pulmonary hypertension is believed to be caused by a mutation in the gene coding for the BMPR II signaling pathway (PPH-1 gene/BMPRII gene) Mutation in the BMPR II gene (PPH-Igene) predisposes the cells to undergo proliferation rather than apoptosis and results in development of pulmonary hypertension.